Final saliva is:
1. Isotonic
2. Hypotonic
3. Hypertonic
4. Depends upon every individual

Correct answer: 2. Hypotonic